Barr body is seen in:
1. Turners syndrome
2. Klinefelters syndrome
3. Testicular feminisation
4. 46 XY

Correct answer: 2. Klinefelters syndrome